Drug of choice for Prophylaxis of Bronchialitis in a child with heart disease
1. Ribavirin
2. Doxycycline
3. Palivizumab
4. Penicillin V

Correct answer: 3. Palivizumab

Explanation: Treatment for Bronchiolitis in a child with co-morbidities is inhaled Ribavirin.
Drug of choice for prophylaxis of Bronchialitis in a child with co-morbidities is Palivizumab.